43S preinitiation complex include all except
1. IF3
2. IF 1 A
3. 1E2β
4. IF-4F

Correct answer: 4. IF-4F

Explanation: GTP, IF-2, met-tRNA and 40S ribosomal subunit forms preinitiation complex (43 S), which is stabilize by IF-lA & 3.